A body is brought for autopsy with a history of poisoning. On post-mortem examination there is dark Brown postmortem staining and garlic order in the stomach. In this case, the poison is
1. Aniline dye
2. Phosphorus
3. Hydrocyanic acid
4. Carbonic acid

Correct answer: 2. Phosphorus

Explanation: Color of Post-Mortem staining in some poisons Poison Color Carbon monoxide (CO) Cherry red Carbon dioxide (CO2) Deep blue (reducedhemoglobin) Cyanide Bright red/pink Phosphorus or copper Dark brown/yellow Hydrogen sulfide Bluish green Opiates Black Nitrites, aniline, nitrobenzene,chlorates (methemoglobinformation) Chocolate or coffee-brown Smell due to various poisons Poison Odor Phosphorus, heavy metal poisoning(arsenic, selenium, thallium), parathion,malathion, alphos Garlic-like Ethanol, methyl or propyl alcohol,chloroform, nitrites, acetone Sweet and fruity Paraldehyde, chloral hydrate Acrid H2S, mercaptans, disulfirum Rotten eggs HCN Bitter almond Carbolic acid Phenolic Organophosphates Kerosene-like Zinc phosphide Fishy Methyl salicylates Oil of wintergreen Marijuana Burnt rope, hemp Ref - Krishan Vij 5th edition pg: 123 ,504,538